Brodie abscess most commonly seen in:
1. Epiphysis
2. Metaphysis
3. Diaphysis
4. Epiphyseal cartilage

Correct answer: 2. Metaphysis

Explanation: Ans: b (Metaphysis) Ref: Maheswari, 3rd ed, (Rev)p. 163BRIDGENagging pain worse at night, relieved by salicylates is suggestive of osteoid osteomaBrodies abscess is most commonly seen in metaphysis of bone.Brodie abscess:Age group -10-20 yrsSites - upper end of tibia, lower end of femur- metaphysicSymptoms-Deep boring pain, worse at night relieved by rest.X-raycircular or oval lucent area surrounded by sclerosis.TreatmentSurgical excavation, curettage & packing with cancellous bone chips.Bony lesions with site of originMetaphysisDiaphysisEpiphysisOsteosarcomaOsteomyelitisBrodies abscessEwing sarcomaOsteiod osteomaMultiple myelomaSecondariesLymphomaAdamantinomaOsteoclastomaChondroblastomas